Cells of the stratum intermedium secretes:
1. Hyaluronic acid.
2. Acid phosphatase.
3. Alkaline phosphatase.
4. All of the above.

Correct answer: 3. Alkaline phosphatase.

Explanation: Stratum intermedium - cells show unusually high activity of alkaline phosphatase, which is essential for amelogenesis. Also demonstrates high level of amino peptidase during dentinogenesis.